The most common symptom seen in a paraoesophageal hernia is
1. dysphagia
2. heart burn
3. regurgitation
4. shortness of breath

Correct answer: 1. dysphagia

Explanation: Most common symptoms attributed to para oesophagal hernia are gastroesophageal obstructive symptoms, including dysphagia, odynophagia, and early satiety Reference: Sabiston 20th edition page: 1083